All are branches of lumbar plexus except
1. Iliohypogastric nerve
2. Ilioinguinal nerve
3. Obturator nerve
4. Subcostal nerve

Correct answer: 4. Subcostal nerve

Explanation: LUMBAR PLEXUS - The lumbar plexus lies in the posterior part of the substance of the psoas major muscle. It is formed by the ventral rami of the upper four lumbar nerves .The first lumbar nerve receives a contribution from the subcostal nerve, and the fourth lumbar nerve gives a contribution to the lumbosacral trunk; which takes part in the formation of the sacral plexus. The branches of the lumbar plexus are given below - 1. The iliohypogastric nerve (LRTI), 2. The ilioinguinal nerve (LRTI), 3. The genitofemoral nerve (LRTI, L2 ventral divisions), 4. The lateral cutaneous nerve of the thigh (L2, L3; dorsal divisions), 5. The femoral nerve (L2, L3, L4; dorsal divisions), 6. The obturator nerve (L2, L3, L4; ventral divisions), 7. The lumbosacral trunk (L4, L5; ventral rami). Ref : B D Chaurasia's Human Anatomy , seventh edition , volume 2 , pg. no. 373